Serial interval is:
1. Gap between primary and secondary cases
2. Gap between maximum and minimum incubation period
3. Difference between sensitivity and specificity
4. Indicates secondary attack rate.

Correct answer: 1. Gap between primary and secondary cases

Explanation: Ans. is 'a' i.e. Gap between primary & secondary cases